The agent of choice for controlling heparin induced bleeding is -
1. Protamine sulphate
2. Injectable vitamin K
3. Whole blood
4. Fresh frozen plasma

Correct answer: 1. Protamine sulphate

Explanation: Pratamine sulphate is the antidote of unfractionated heparin induced bleeding. In case of Warfarin induced bleeding, prothrombin complex concentrate is given. In case of Dabigastran induced bleeding idarucizumab is given Reference : Davidson, 23rd Edition, page no : 939